Target lesions are seen in:
1. Erythema marginatum
2. Lichen planus
3. Psoriasis
4. Erythema multiforme

Correct answer: 4. Erythema multiforme

Explanation: Ans: d (Erythema multiforme) Ref: Davidson, 20th ed, p. 1309Erythema multiforme has target lesions or bulls eye lesionsProvoking factors in erythema multiforme:* Herpes simplex infection* Other viral infections, e.g: otfi and mycoplasma* Bacterial infection* Drugs especially sulphonamides penicillin and barbiturates* Internal malignancy or its treatment with radiotherapyErythema marginatumThe skin lesion in erythema marginatum is associated with rheumatic fever. It is a major manifestation in Jones criteria for the diagnosis of rheumatic feverNote:Human Orf virus cause erythma contagiosaHerpes induced erythema multiforme can be treated with acyclovir